Broca's area of speech is for-
1. Integration of speech
2. Motor part of speech
3. Sensory part of speech
4. Comprehension of speech

Correct answer: 2. Motor part of speech

Explanation: Ans. is 'b' i.e., Motor part of speech o Speech is defined as an ability to understand or express oneself by spoken or written words. Visual association area, auditory association area, Wernicke's area and Broca's area of the Brain are concerned with reception, formulation and expression components of speech.Wernick's areao It is located in the posterior end of superior temporal gyrus.o It is the site of integration of secondary somatic, Auditory and visual areas.o In response to words heard or read and interpreted by the secondary auditory or visual sensory areas, the Wernicke's area formulate ideas (words are planned) for expressive part of the speech and sends signals to the Broca's area via arcuate faciculus.o So, Wernicke 9s area is concerned with comprehension.o Lesion to this area results in sensory (fluent) aphasia.Broca's area (Area 441o Broca's area is located in the inferior frontal gyrus.o It constitutes the center for motor part of speech. It receives information from Wernicke's area and sends it to the motor cortex concerned with control of larynx, lips and tongue for spoken speech and fingers for written speech.o Lesions of the Broca's area produce an inability to express onself by spoken speech called motor aphasia or nonfluent aphasia.Interpretation of words, read or heard (By secondary visual or auditary areas) | Formulation of ideas which is to be expressed in speech(i.e. Words are planned in Wernicke's area) |Plan is passedThrough arcuate fasciculusSentence is formulated in Broca's area(Idea is expressed in sentence) | Transmitted to motor cortex for actual external expression by movements of finger (in written speech) or larynx, tongue, lips (for spoken speech)